Which of the following is produced sexually -
1. Ascospore
2. Conidium
3. Blastoconidia
4. Yeast buds

Correct answer: 1. Ascospore

Explanation: Sexual spores: Oospore, Zygospore, Ascospore, Basidiospore. Asexual spores (Conidia): Asexual spores can be vegetative or arterial spores as follows: A. Vegetative spores: (a) arthrospores, (b) chlamydospores, (c) blastospores. B. Arterial spores: These include (a) sporangiospores, (b) conidiospores, (c) microconidia, and (d) macroconidia.